Best skin disinfectant for central line insertion is
1. Povodine iodine
2. Alcohol
3. Cetrimide
4. Chlorhexidine

Correct answer: 4. Chlorhexidine

Explanation: Chlorhexidine is now the disinfectant recommended for all catheter placementprocedures and for routine site cleansing during dressing changes. "Use of antiseptic solution for skin disinfection at the catheter insertion site helps prevent catheter-related infection. Chlorhexidine-based solutions appear to be superior to both aqueous and alcohol-based povidone-iodine in reducing the risk for catheter colonization and catheter-related bloodstream infection. If there is a contraindication to chlorhexidine, tincture of iodine, an iodophor or 70 per cent alcohol can be used as alternatives